Which of the following is not a usual feature of right middle cerebral artery territory infarct :
1. Aphasia.
2. Hemiparesis
3. Facial weakness
4. Dysarthria

Correct answer: 1. Aphasia.

Explanation: Answer is A (Aphasia): Aphasia is a manifestation of dominant parietal lobe involvement. Dominant hemisphere is right handed person is left hemisphere and thus a right middle cerebral artery infarct indicates 'Non Dominant Partial Lobe' involvement. Apahsia will not be a manifestation because an infarction in middle cerebral artery distribution on the right side affect the non dominant parietal lobe (kit parietal lobe).